Acute symptomatic sinus bradycardia usually responds to-
1. Adrenalinea
2. Dopamine
3. Atropine
4. Norepinephrines

Correct answer: 3. Atropine

Explanation: Sinus bradycardia: A regular but unusually slow heart beat (50 beats/minute or less at rest). Fainting can occur with sinus bradycardia if the heart slows down even more. This can occur, for example, when the vagus nerve sends a signal to the heart that suddenly drops the heart rate Ref Harrison 20th edition pg 1456